The assessment and differentiation of entry wound and exit wound is difficult during post-mortem examination of a case of death due to bullet injury due to surgical alterations. This phenomenon is known as:
1. Kennedy phenomenon
2. Mc-Naughten's rule
3. Alec Jeffrey's phenomenon
4. Ricochet phenomenon

Correct answer: 1. Kennedy phenomenon

Explanation: Ans. a. Kennedy phenomenon (Ref : Reddy's 33/e p231, 31/e p 214)'Kennedy Phenomenon: Surgical alteration or suturing of gunshot wounds creates problems. The evaluation of the wound, whether it was an entrance or an exit wound becomes difficult.'Mac-Naughten's rule (The right or wrong test; The legal test):An accused person is not legally responsible, if it is clearly proved that, at time of committing the crime, he was suffering from such as defect of reason from abnormality of mind, that he did not know the nature and quality of the act he was doing or that what he was doing was wrong.